The pulmonary function test done on this patient of asthma would be
1. Non-infarmative
2. Obstructive pattern
3. Restrictive pattern
4. Destructive pattern

Correct answer: 2. Obstructive pattern

Explanation: The patient is having atopic asthma.Pulmonary function tests in asthma show an obstructive pattern with reduced FEV1,FEV1/FVC ratio.Reversibility is demonstrated by a >12% and 200 ml increase in FEV1 15 minutes after an inhaled short acting beta2 agonist or in some patients by a 2 to 4 week trial of oral corticosteroids. Ref:Harrison's medicine-18th edition,page no:2109.